Feature associated with mania is ?
1. Neologism
2. Perseveration
3. Echolalia
4. Flights of ideas

Correct answer: 4. Flights of ideas

Explanation: Ans. D. Flights of ideasDiagnostic criteria for maniaThree or more of the following for at least 1 week:-Inflated selfvesteem or grandiosityDecreased need for sleepOvealkativenessFlightofvideasDistractibilityPsychomotor agitation or Increased goal directed activitiesExcessive involvement in pleasurable activities